Calcium channel blocker with maximum effect on conduction in heart is:
1. Phenylamine
2. Nifedipine
3. Diltiazem
4. Verapamil

Correct answer: 4. Verapamil